This 22-year-old man presented with a 1-month history of severe pubic itch that was worst at night. What is the most appropriate topical treatment?
1. Hydrocortisone
2. Hydroxyzine
3. Mupirocin
4. Permethrin

Correct answer: 4. Permethrin

Explanation: Answer D. PermethrinThe visible nits are consistent with pubic pediculosis. The recommended treatments include permethrin or pyrethrin lotions. Alternative regimens to treat lice include topical malathion or oral ivermectin. Patients with pediculosis pubis should be evaluated for other sexually transmitted diseases.